Which of the following drugs should not be used in setting FCB hypertension in elderly in empirical basis
1. Enalapril
2. Amilodipine
3. Chlorthiazide
4. Prazosin

Correct answer: 4. Prazosin

Explanation: Refer CMDT 2010/409 Prazosin should be avoided as a first line choice due to risk of postural hypertension